Epsilon wave in ECG is seen in
1. Hypothermia
2. RV dysplasia
3. Takatsubo cardiomyopathy
4. None

Correct answer: 2. RV dysplasia

Explanation: Epsilon wave in ECGis seen in ARVD (Arrhythmogenic Right Ventricular Dysplasia )